In psychoanalytic terms, obsessive compulsive disorder is fixed at :
1. Oedipal stage
2. Genital stage
3. Oral stage
4. Anal stage

Correct answer: 4. Anal stage

Explanation: D. i.e. Anal stage